Which of the fontanelle is last to close?
1. Posterior fontanelle
2. Anterior fontanelle
3. Mastoid fontanelle
4. Sphenoidal fontanelle

Correct answer: 2. Anterior fontanelle

Explanation: Time of closure of different fontanelle: Posterior fontanelle- 2 to 3 months after birth Anterior fontanelle- 10-24 months after birth Mastoid fontanelle- 6- 18 months after birth Sphenoidal fontanelle- 6months after birth Ref: Nelson's 20th edition, page 2793